Chelating agent for copper, mercury, lead which is given by oral route:
1. BAL
2. EDTA
3. Penicillamine
4. Succimer

Correct answer: 3. Penicillamine

Explanation: Ans. Penicillamine